What is the gestational age at which the maternal hCG levels are maximum in a normal pregnancy?
1. 8 to 10 weeks
2. 12 to 14 weeks
3. 16 to 18 weeks
4. After 20 weeks

Correct answer: 1. 8 to 10 weeks

Explanation: 8 to 10 weeks